Which drug is used only topically?
1. Streptomycin
2. Neomycin
3. Gentamycin
4. Netilmycin

Correct answer: 2. Neomycin